Methods of leaning in psychiatry are all except
1. Modelling
2. Catharsis
3. Exposure
4. Response prevention

Correct answer: 2. Catharsis

Explanation: In modelling the person is neither exposed to it by step wise exposure or by sudden flooding but the patient is made to visualize a person who has no phobia for snakes handling the snakes, by looking in to their actions patient gets a feel that the act is doable and improves self-efficacy and hence improves anxiety * ERPT---------exposure response prevention therapy Here the patient is exposed to contamination like dust bin and now the patient has obsessional thoughts and would be worried and will be wishing to clean the hands but the therapist won't allow him to wash his hands because of which the anxiety builds up and then falls and thereby they will be relieved of their distress. Among the option catharsis is a type involved in psychoanalysis and group therapy where the patient openly revals about his unconscious desires and impulses and that help to vent out and improvement is noted in the same. Ref.Kaplon and sadock, synopsis of psychiatry, 11 th edition, pg no. 398